Proteinuria in preeclampsia is due to
1. Increased glomerular filtration rate
2. Increased capillary permeability
3. Increased renal artery resistance
4. Increased systemic vascular resistance

Correct answer: 2. Increased capillary permeability

Explanation: Endothelial cell dysfunction and increased free radicals cause activation of microvascular coagulation that manifest by thrombocytopenia and increased capillary permebility manifest as edema and proteinuria.